The most important function of hydrochloric acid in the stomach is:
1. Destruction of bacteria
2. Neutralization of chyme
3. Activation of pepsinogen
4. Stimulation of pancreatic secretion

Correct answer: 3. Activation of pepsinogen

Explanation: Functions of HCl are: 

activation of pepsinogen to pepsin by providing acidic medium,
bacteriolytic action and
acidification of chyme which cause release of secretin and cholecystokinin hormones.